Which of the following is a nonhereditary phakomatoses?
1. Neurofibromatosis
2. Sturge Weber syndrome
3. Tuberous sclerosis
4. Ataxia telangiectasia

Correct answer: 2. Sturge Weber syndrome

Explanation: Ans BStruge Weber syndrome is the only acquired phakomatosis. Rest all major phakomatosis are inherited and most of them like NF1, NF2,Tuberous sclerosis are autosomal dominant while ataxia telengectasia is autosomal recessive.